True about Docosa-hexanoic acid are all except:
1. Highest concentration of DHA found in retina, cerebral cortex, sperms
2. Functions: Needed for the development of foetal brain and retina
3. DHA is supplied transplacentally and through breast milk
4. Synthesized in the body from Linoleic acid

Correct answer: 4. Synthesized in the body from Linoleic acid

Explanation: Docosahexaenoic Acid (DHA) 

Sources: Human milk, Fish liver oils, Algal oils.
Synthesized in the body from Alpha Linolenic acid.
Highest concentration of DHA found in retina, cerebral cortex, sperms.
Functions: Needed for the development of foetal brain and retina.
DHA is supplied transplacentally and through breast milk.
Clinical significance: Low DHA is associated with increased risk of Retinitis Pigmentosa.